False virgin
1. Hymen is torn but woman has never had sexual intercourse
2. Hymen is intact but woman has had sexual intercourse
3. Hymen is tom but woman had sexual intercourse 10 years ago
4. None of the above

Correct answer: 2. Hymen is intact but woman has had sexual intercourse

Explanation: In a false virgin, hymen is intact but woman has had sexual intercourse.